Hyperthermia is defined as-
1. Core temperature > 40.0degC
2. Core temperature > 41.50degC
3. Elevated temperature that normalizes with antipyretic drugs
4. Uncontrolled increase in body temperature despite a normal hypothalamic temperature setting

Correct answer: 4. Uncontrolled increase in body temperature despite a normal hypothalamic temperature setting

Explanation: Hyperthermia is increase in the body temperature to abnormal level despite of normal hypothalamic functions The body temperature may be over 105 F, a level that damages the brain and other organs. Other symptoms include muscle cramps, fatigue, dizziness, headache, nausea, vomiting, and weakness. The heart rate may be elevated, and the skin is reddened Ref Davidson 23rd edition pg 1287